Drugs causing pericarditis are all EXCEPT : a) Methysergide b) Hydralazine c) Amiodarone d) Bretylium e) Minoxidil
1. cd
2. bd
3. bc
4. ad

Correct answer: 1. cd